Berlin's edema is seen due to
1. Trauma
2. Foreign body
3. Infection
4. Pars planitis

Correct answer: 1. Trauma

Explanation: Ocular Trauma o Blunt traums o Perforation Manifestations a. Corneal edema b. Hyphaema c. Iridodialysis d. Angle recession e. TM tear f. Hyphaema g. Subluxation/Dislocation of lens h. Rosette cataract i. Retinal dialysis j. Choroidal detachment k. Berlin's edema l. Optic nerve avulsion m. Nasolacrimal duct damage n. Blow out 7 RINGS OF BLUNT TRAUMA 1. Central iris: Sphincter tear 2. Peripheral iris: Iridodialysis 3. Anterior ciliary body: Angle recession 4. Separation of ciliary body from scleral spur: Cyclodialysis 5. Trabecular meshwork: Trabecular meshwork tear 6. Zonules/lens: Zonular tear with possible lens subluxation 7. Seperation of the retina from the ora serrata: Retinal dialysis Vitreous based detachment, that is, Retinal Dialysis is sign of blunt trauma.